Which of the following is an effect of dinitrophenol on oxidative phosphorylation
1. Inhibition of cytochrome b
2. Blockade of both electron transport and ATP synthesis
3. Inhibition of ATP synthesis with normal electron transport
4. Inhibition of electron transport but not ATP synthesis

Correct answer: 3. Inhibition of ATP synthesis with normal electron transport

Explanation: Inhibition of ATP synthesis

Dinitrophenol is an uncoupler.
Uncouplers cause uncoupling of oxidation and phosphorylation, i.e. they allow electrons transport to proceed without ATP synthesis.